Following are complications of chicken pox except
1. Meningitis
2. Pneumonia
3. Enteritis
4. Reyes Syndrome

Correct answer: 3. Enteritis

Explanation: Chicken pox is caused by varicella zoster virus ,a DNA virus of Herpes virus family . It is present in respiratory secretions and skin lesions of an affected child . The portal of entry is the respiratory tract. Secondary bacterial infections of skin lesions is fairly common and occasionally result in necrotising fascitis . Neurologic complications include meningoencephalitis,acute cerebellar ataxia,tranvserse myelitis,landry-guillain-barre syndrome and optic neuritis.other complications include purpura fulminans,cns vasculitis leading to stroke, Auto immune thrombocytopenic purpura and reye syndrome, progressive varicella syndrome is a dreaded complication of pox characterised by continued development of lesions,hemorhagic lesions, coagulopathy and visceral organ involvement including hepatitis,pneumonia and encephalitis. Reference: Essential paediatrics,op ghai, 9 th edition, pg no: 210 & 211